Infective form of Hookworms ?
1. Egg
2. Rhabditiform larva
3. Filariform larva
4. None

Correct answer: 3. Filariform larva

Explanation: Filariform larva Eggs are passed in the stool, and under favorable conditions (moisture, warmth, shade), larvae hatch in 1 to 2 days. The released rhabditiform larvae grow in the feces and/or the soil, and after 5 to 10 days (and two molts) they become filariform (third-stage) larvae that are infective .